Boot shaped heart on chest X - ray is seen in-
1. Tetrofogy of fallot
2. TGA
3. TAPVC
4. PAPVC

Correct answer: 1. Tetrofogy of fallot

Explanation: Ans. is 'a' i.e., Tetrology of fallot Radiological findings of TQFi) Boot shaped heart (Coeur en Sabot)ii) Normal sized heart (no cardiomegaly)iii) Pulmonary oligemiaiv)Right aortic arch (in 25% cases).